Potts shunt is –
1. Right subclavian artery to rt pulmonary artery
2. Descending aorta to left pulmonary artery
3. Left subclavian to left pulmonary artery
4. Ascending aorta to right pulmonary artery

Correct answer: 2. Descending aorta to left pulmonary artery